Drug of choice for hepatitis B:
1. Beta interferon
2. Sofosbuvir
3. Simeprevir
4. Tenofovir

Correct answer: 4. Tenofovir

Explanation: Tenofovir is a first-line agent in the treatment of hepatitis B. It prevents the formation of 5' to 3' phosphodiester linkage essential for DNA chain elongation. Hence it causes premature termination of DNA transcription.